Complete denture patients have a preference for which region when the consistency of food is tough
1. 2nd molar region
2. Premolar region
3. 1st molar region
4. Premolar and molar region

Correct answer: 2. Premolar region